First sign of puberty in females is :
1. PubarcheMenarche
2. Menarche
3. Thelarche
4. All occur together

Correct answer: 3. Thelarche

Explanation: Thelarche